Over contoured crowns are most often the result of
1. Insufficient tooth reduction
2. Overbuilding by technicians
3. Desirable, if properly shaped
4. Increases retention

Correct answer: 1. Insufficient tooth reduction